Internal podalic version is done in
1. Complete breech delivery
2. Frank breech delivery
3. Delivery of aftercoming twin
4. Preterm breech delivery

Correct answer: 3. Delivery of aftercoming twin

Explanation: Internal podalic version is done for only delivery of second twin (Transverse lie).